Total alveolar ventilation volume (in L/min) is
1. 1.5
2. 3.5
3. 4.2
4. 5

Correct answer: 3. 4.2

Explanation: Ans. (c) 4.2(Ref: Ganong, 25th ed/p.629)Alveolar ventilation is 4.2L/minAlveolar ventilation = respiratory rate * (tidal volume - dead space) =12(500-150)=4.2L/min